If stage lb cervical cancer is diagnosed in a young woman, while performing radical hysterectomy which structure would you not remove
1. Uterosacral and uterovesical ligament
2. Pelvic Lymph nodes
3. periureteral tissues
4. Upper third of vagina

Correct answer: 3. periureteral tissues

Explanation: Ovaries are not removed in radical hysterectomy if not diseased Types of Hysterectomy Type I : Extrafascial Hysterectomy Simple total abdominal hysterectomy with or without bilateral salpingo-oophorectomy Type II: Modified Radical Hysterectomy Removes the medial half of cardinal and uterosacral ligaments Type II differs From Type III by Uterine artery is transected at the level of ureter; Preserving the ureteral branch to the ureter Cardinal ligament is divided close to the midportion near the ureteral dissection Anterior vesicouterine ligament is divided but posterior vesicouterine ligament is conserved Smaller margin of vagina is removed Type III Removal of most of the uterosacral, cardinal ligaments and upper one-third of the vagina Associated with Pelvic lymphadenectomy Extended Radical Hysterectomy Type IV: Additional structures removed Periureteral tissue Superior vesicle artery Three fourths of vagina Type V: Portions of distal ureter and bladder are resected Reference: Berek and Novak's Gynecology; 15th edition; Chapter 36